Onion skin spleen is seen in:
1. ITP
2. Thalassemia
3. SLE
4. Scleroderma

Correct answer: 3. SLE

Explanation: Three histological lesions are most characteristic of SLE Onion skin lesion of splenic artery Libman sacks endocarditis Hematoxylin bodies Onion skin pattern is seen in: Splenic artery in SLE Ewing sarcoma Charcot marie tooth disease Primary sclerosing cholangitis Malignant HTN